Myotatic reflex is carried by
1. Golgi tendon organ
2. Muscle spindle
3. Free nerve endings
4. C. fibres

Correct answer: 2. Muscle spindle

Explanation: The stretch reflex (myotatic reflex) is a muscle contraction in response to stretching within the muscle. It is a monosynaptic reflex which provides automatic regulation of skeletal muscle length. When a muscle lengthens, the muscle spindle is stretched and its nerve activity increases.Ref: Ganong's review of medical physiology 23rd edition Page no: 158